Which of the following are unpaired vessel in CNS?
1. Anterior-cerebral artery
2. Basilar artery
3. Posterior- Cerebellar artery
4. Posterior-communicating artery

Correct answer: 2. Basilar artery

Explanation: Basilar artery is single unpaired vessel, formed by right &left vertebral arteries at lower border of pons, Ref: Gray's40e/p-262